Which of the following is the most common cause of midsystolic murmur in adults?
1. Aortic stenosis
2. Aortic regurgitation
3. Hypertrophic obstructive cardiac myopathy
4. All of the above

Correct answer: 1. Aortic stenosis

Explanation: AS is the most common cause of a midsystolic murmur in an adult.